Traumatic cataract occurs as:
1. Rosette-shaped cataract
2. Zonular cataract
3. Total cataract
4. All of the above

Correct answer: 4. All of the above

Explanation: Ans. All of the above